Multiple bilatertal dentigerous cysts are seen in
1. Down's syndrome
2. Maroteaux Lamy syndrome
3. Treacher Collin syndrome
4. Gorlin Goltz syndrome

Correct answer: 2. Maroteaux Lamy syndrome